A patient in th emergency room with road traffic accident has retroperitoneal bleed. Trauma to which of the following structures is the most likely cause of this bleed?
1. Jejunum
2. Liver
3. Stomach
4. Pancreas

Correct answer: 4. Pancreas

Explanation: The pancreas is the most likely cause as it is a retroperitoneal structure. All the other structures listed are intraperitoneal. Relationship of viscera to the perritoneum : Intraperitoneal: Stomach, jejunum, ileum, cecum, appendix, transverse colon, sigmoid colon, liver, gallbladder and spleen. Retroperitoneal: Esophagus(abdominal), duodenum(2nd and 3rd segment), pancreas, kidneys, ureters, suprarenal gland, abdominal aorta and its branches, inferior venacava, and celiac plexus. Partially covered in the peritoneum(also considered as retroperitoneal): Ascending colon, descending colon, and rectum. Ref: Gray's Anatomy Pgno: 1045